On endoscopy there is Serpiginous Ulcers in Distal Esophagus with otherwise normal mucosa seen- Diagnosis is
1. Herpes Simplex
2. Candidiasis
3. Pill induced
4. CMV

Correct answer: 4. CMV

Explanation: CMV Esophagitis: - * Seen in Graft versus host disease following BM transplantation. * Endosocopy shows characteristic - Geographical or Serpentine border. Ref:- Bailey and Love 27th Edition; Pg num:- 1104